Which of the following does not posses both DNA and RNA?
1. Bacteria
2. Fungus
3. Virus
4. Spirochete

Correct answer: 3. Virus

Explanation: Ans. c. Virus